All of the following are true about osteomalacia EXCEPT:
1. Vitamin D deficiency
2. Proximal myopathy
3. Raised serum calcium
4. Bone biopsy shows increased demineralized bone matrix

Correct answer: 3. Raised serum calcium

Explanation: Ans. (c) Raised serum calciumRef: Maheswari's 5th/310, 311"In osteomalacia the serum calcium level is low, the phosphates are low, and alkaline phosphatase is high."PATHOPHYSIOLOGY OF OSTEOMALACIALack of sunlight exposure, nutritional deficiency of vitamin D, malabsorption syndrome, partial gastrectomy|Failure of absorption of calcium and phosphorous (Decreased serum calcium and phosphorous)|Decreased turnover of calcium and phosphorus in bone matrix|Demineralization of bone and bony substance replaced by soft osteoid tissue|Bone pains, muscular weakness (myopathy), spontaneous fracturesNOTE: Osteoid matrix is secreted at normal rate but the mineralization is decreased (i.e. decrease in mineral apposition rate). This leads to increased osteoid maturation time.Radiological Features* Looser's Zone (pseudo fracture)- Are radiolucent zones at sites of stress.* Triradiate pelvis in female.